The following host tissue responses can be seen in acute inflammation, except -
1. Exudation
2. Vasodilation
3. Margination
4. Granuloma formation

Correct answer: 4. Granuloma formation

Explanation: Ans. is 'd' i.e., Granuloma formationGranuloma formation is characterstic of chronic granulomatous infammation and is not seen in acute inflammation.